HRT is useful in all of the following except:
1. Vaginal atrophy
2. Flushing
3. Osteoporosis
4. Coronary heart disease

Correct answer: 4. Coronary heart disease

Explanation: Advantages of Estrogen in HRT: 1.prevents osteoporosis 2.decreases hot flushes 3.vaginal application of estrogen decreases vaginal atrophy Disadvantages of HRT: 1.Coronary Heart Disease 2.stroke 3.thromboembolic events 4.breast cancer 5.cholecystitis